Wickmann's straie seen in ?
1. Lichen planus
2. Psoriasis
3. Dermatomyositis
4. Warts

Correct answer: 1. Lichen planus

Explanation: Ans. is 'a' i.e., Lichen planus